Seat belt injury is
1. Tear drop fracture
2. Wedge fracture
3. Chance fracture
4. Whiplash injury

Correct answer: 3. Chance fracture

Explanation: C i.e. Chance fracture